Which morphological type of cataract is most visually handicapping
1. Cortical
2. Nuclear
3. Posterior subcapsular
4. Zonular

Correct answer: 3. Posterior subcapsular

Explanation: Posterior subcapsular cataract is near the nodal point of the eye and hence decreases the vision mostly